Medium size arterial disease is -
1. Temporal areritis
2. Wegners granulomatosis
3. Classic PAN
4. Takayasu arteritis

Correct answer: 3. Classic PAN

Explanation: Ans. is 'c' i.e., Classic PAN a) Large vessel vasculitis: Giant cell arteritis (temporal arteritis), Takayasu arteritis, Cogan syndrome.b) Medium vessel vasculitis: PAN (classical PAN), kawasaki disease, Buerger's disease.c) Small vessel vasculitis: HSP, Wegner's granulomatosis, microscopic polyangitis, churg strauss syndrome, Cryoglobulinemia, SLE, idiopathic crescentic glomerulonephritis, Bechet's syndrome, renal limited vasculitis